Goodpasture syndrome has antibodies against:
1. Collagen 1
2. G-y or x-y of collagen
3. Collagen 4
4. Collagen 2

Correct answer: 3. Collagen 4

Explanation: (Refer: Robbins Pathologic Basis of Disease, 8thedition, pg no: 709)